In Schizoid personality disorder, all are seen except
1. Aloof and detached
2. Prone to fantasy
3. Suspicious
4. Introspective

Correct answer: 3. Suspicious

Explanation: Traits of schizoid personality disorder include emotional coldness, lack of pleasure from activities, limited capacity to express feelings towards others, apparent indifference to praise or criticism, little interest in sexual experiences, preference for solitary activities, excessive preoccupation with fantasy and introspection, lack of close friends, and marked insensitivity to prevailing social norms and conventions. Psychodynamically Schizoid personality disorder is supposed to result from 'cold and aloof' parenting in a child with introverted temperament. Suspiciousness is more a charateristic of Paranoid Personality disorder. Ref: A Short Textbook of Psychiatry, Niraj Ahuja, 7th Edition, pg. no. 114